True statements about TXA2 are all except:
1. It is formed in platelets
2. It is formed from PGG2/H2
3. It is prothrombotic
4. It is having platelet anti-aggregatory activity

Correct answer: 4. It is having platelet anti-aggregatory activity

Explanation: ESSENTIALS OF MEDICAL PHARMACOLOGY;7TH EDITION;KD TRIPATHI;PAGE NO 192